What is the type of voice in antrochoanal polyp-
1. Hyponasal voice
2. Hoarse voice
3. Low pitched voice
4. High pitched voice

Correct answer: 1. Hyponasal voice

Explanation: Ans. is 'a' i.e., Hyponasal voice Clinical features of antrochoanal polypo Unilateral Nasal blockage (more on expiration than on inspirationo Obstruction may become bilateral when polyp grows into nasopharynx and starts obstructing opposite choana.o Hyponasal voiceo Mucoid nasal dischargeo Conductive deafness due to eustachian tube dysfunction.o On examination polyp may not be visible on anterior rhinoscopy as it grows posteriorlyo On posterior rhinoscopy - smooth, greyish white, spherical mass is seen in choana.